Which of the following is a GLP-1 agonist?
1. Pramlintide
2. Exenatide
3. Sitagliptin
4. None of the above

Correct answer: 2. Exenatide

Explanation: Alpha-Glucosidase inhibitors |Glucose absorption Acarbose, Miglitol Dipeptidyl peptidase IV inhibitors Prolong endogenous GLP-1 action Sitagliptin GLP-1 agonist |Insulin, |Glucagon, slow gastric emptying Exenatide Amylin agonist Slow gastric emptying, |Glucagon Pramlintide Ref: KD TRIPATHI 8TH ED.